ASHA is not a depot holder of -
1. ORS
2. IFA
3. Contraceptives
4. OPV

Correct answer: 4. OPV

Explanation: Ans. is 'd' i.e., OPV o ASHA are acting as a Depot Holder for essential provisions being made available to every habitation like -i) Oral rehydration solution (ORS)ii) Iron Folic Acid (IFA) tabletsiii) Disposable Delivery Kits (DDK)iv) Contraceptives (condom, OCP emergency pills)v) Cholorquine